Disease having autosomal recessive inheritance
1. Cystic fibrosis
2. Hydrocephalus
3. Duchene muscular dystrophy
4. Vitamin D resistant ricket

Correct answer: 1. Cystic fibrosis

Explanation: Autosomal Recessive Inheritance Sickle cell anemia Cystic fibrosis Tay-Sachs disease Phenylketonuria Mucopolysaccharidoses--all types Glycogen storage diseases--all types Galactosemia (Robbins Basic Pathology,9th edition,pg no. 218)